CAP in Lac operon is an example of
1. Positive regulator
2. Negative regulator
3. Constitutive expression
4. Attenuation

Correct answer: 1. Positive regulator

Explanation: Catabolite activator protein(CAP) must bind to cAMP to activate transcription of the lac operon by RNA polymerase. CAP is a transcriptional activator with a ligand-binding domain at the N-terminus and a DNA-binding domain at the C-terminus.